Cullen's sign:
1. Bluish discolouration of the flanks
2. Bluish discolouration in the umbilicus
3. Migratory thrombophelebitis
4. Subcutaneous fat necrosis

Correct answer: 2. Bluish discolouration in the umbilicus

Explanation: (Bluish discolouration in the umbilicus) (1124-Baily & love 24th) (1140-Baily & Love 25th)Acute Pancratitis* Bluish discolouration of the flanks - Grey Turner Sign* Bluish discolouration of the umbilicus - Cullen's sign.